The following is not a feature of Pierre – Robin syndrome –
1. Hearing defect
2. Coloboma Iris
3. Respiratory distress
4. Mandibular hypoplasia

Correct answer: 2. Coloboma Iris

Explanation: Pierre Robin syndrome consists of -

Micrognathia
The foreshortened floor of mouth
CHDs
Cleft palate or high arched palate
Mandibular hypoplasia (Micrognathia) 
Respiratory obstruction
Normal size tongue